Commutation of death sentence cannot be done by 1.Additional sessions court 2.Sessions court 3.High court 4.Supreme court 5.President
1. 1 only
2. 1,2
3. 1,2,3
4. 1,2,3,4

Correct answer: 2. 1,2

Explanation: Death sentence can be given by i) Session court ii) Additional session court iii) High court iv) Supreme court All cases from session courts are forwarded to high court and high court can commute death sentence into life imprisonment. A death sentence from high court can be commuted by supreme court. So commutation of death sentence is possible by High court, Supreme court & the President. Note : Extra edge Section 53 IPC- Denotes the section on punishments. The punishments provided are Death, Life imprisonment, Imprisonment for a certain time, Forfeiture of property and lastly fine. Section 54 IPC- Denotes the commutation of a death sentence. Section 55 IPC- Denotes the commutation of a sentence of life imprisonment.